All of the following are true regarding after pains except:
1. M/C in multiparous females
2. Pain worsens when infant suckles
3. Decreases in intensity by 5th day
4. They become more pronounced as parity increases

Correct answer: 3. Decreases in intensity by 5th day

Explanation: Ans. is c, i.e. Decreases in intensity by 5th dayRef. Williams 24/e, p 670After pains - In primiparous women, uterus tends to remain tonically contracted following delivery. In multiparas, however, it often contracts vigorously and gives rise to after pains.After pains are similar to uterine contractions but milder than them.More pronounced as parity increases.Worsen with suckling of breast by infant.Decrease in intensity and become mild by 3rd day following delivery.